Mutation in hartnup disease:
1. SLC5A18
2. SLC6A19
3. SLC7A9
4. SLC3A1

Correct answer: 2. SLC6A19

Explanation: Hartnup disease - autosomal recessive disease due to mutation in SLC6A19 which cause: Inability to absorb neutral amino acid from intestine and renal cell Tryptophan absorption is severely affected. C/f Pellagra like symptoms- As tryptophan is required for Niacin synthesis. amino aciduria Increased urinary output of indoleacetic acid and indolepyruvic acid is also observed